Case-control study is a type of:
1. Descriptive epidemiological study
2. Analytical study
3. Longitudinal study
4. Experimental epidemiological

Correct answer: 2. Analytical study

Explanation: Analytical study